Nerve fibres involved in proprioception
1. Type A fibre
2. Type B fiber
3. Type C fiber
4. Type IV fiber

Correct answer: 1. Type A fibre